Other name of AST:
1. SGOT
2. Alkaline phosphatase
3. Acid phosphatase
4. SGPT

Correct answer: 1. SGOT

Explanation: SGOT: Serum Glutamate Oxaloacetate Transaminase - also known as AST i.e. Aspartate transaminase. Aspartate loses amino group and forms oxaloacetate. On the other hand, alpha keto glutarate takes amino group and forms glutamate. SGPT: Serum Glutamate Pyruvate Transaminase - also known as ALT i.e. Alanine transaminase. Alanine loses amino group and forms pyruvate. On the other hand alpha keto glutarate takes amino group and forms glutamate.